A 47-year-old man presents to the emergency room with symptoms of dizziness and difficulty walking. He describes his dizziness as a spinning sensation of the room with associated nausea and vomiting. Which of the following findings suggests the vertigo is peripheral in origin?
1. optic neuritis
2. tinnitus
3. bidirectional nystagmus
4. vertical nystagmus

Correct answer: 2. tinnitus

Explanation: Tinnitus and deafness may be found in peripheral vertigo, but not central. The nystagmus is usually unidirectional and is never vertical. Visual fixation inhibits vertigo and nystagmus during testing in peripheral vertigo.